Christmas tree appearance seen in:
1. Myotonic dystrophy
2. Trauma
3. Chalcosis
4. Diabetes

Correct answer: 1. Myotonic dystrophy

Explanation: About 90% of patients with myotonic dystrophy develop fine iridescent cortical opacities in the third decade, sometimes resembling Christmas tree cataract.